The most common mucocele of the paranasal sinuses involving the orbit arises from:
1. Frontal sinus
2. Ethmoidal sinus
3. Maxillary sinus
4. Sphenoidal sinus

Correct answer: 1. Frontal sinus

Explanation: Ans. Frontal sinus